True regarding primary sclerosing cholangitis associated with ulcerative colitis are all of the following except
1. Biliary cirrhosis is a known complication
2. Increased risk of hilar cholangiocarcinoma
3. May have raised levels of alkaline phosphatase
4. Primary sclerosing cholangitis resolves after total colectomy

Correct answer: 4. Primary sclerosing cholangitis resolves after total colectomy

Explanation: Patients with PSC and UC typically have a more quiescent disease course The risk for colon cancer in these patients is up to five times greater than in patients with ulcerative colitis alone. These tumors are more likely to arise proximal to the splenic flexure PSC is progressive and ultimately fatal unless liver transplantation is undertaken. Colectomy has no effect on the course of PSC Ref: Sabiston 20th edition Pgno :1508-1509